Essential pentosuria is due to deficiency of:
1. Fructokinase
2. Phosphoglucomutase
3. Xylulose reductase
4. Gluonolactone oxidase

Correct answer: 3. Xylulose reductase

Explanation: Essential Pentosuria: Occurs due to deficiency of : Xylulose reductase Xylitol dehydrogenase. L-Xylulose in urine, gives positive Benedict's test Glucose Oxidase test strip negative Garrod's Tetrad Pentosuria, Albinism, Alkaptonuria, Cystinuria) Due to consumption of large amount of fruits that are rich in Pentoses Fructokinase deficiency causes essential fructosuria, not essential pentosuria